A drug 'X' primarily reduces the static component of urinary obstruction in benign hypertrophy of prostate and takes more than 3 months to exert its beneficial effect. Which of the following is 'X' ?
1. Tamsulosin
2. Terazosin
3. Finasteride
4. Amphetamine

Correct answer: 3. Finasteride